The anterior part of scalp drains into which of the following lymph nodes
1. Parotid lymph nodes
2. Mastoid lymph nodes
3. Occipital lymph nodes
4. None of the above

Correct answer: 1. Parotid lymph nodes

Explanation: The anterior part of the scalp drains into the preauricular or parotid lymph nodes, situated on the surface of the parotid gland. The posterior part of the scalp drains into the posterior auricular or mastoid and occipital lymph nodes.